Most common site of obstruction in chronic dacryocystitis in adults is:
1. At upper end of nasolacrimal duct
2. At lower end of nasolacrimal duct
3. In the lacrimal sac
4. In the common canaliculus

Correct answer: 1. At upper end of nasolacrimal duct

Explanation: Ans. At upper end of nasolacrimal duct